How much of blood flows through the kidneys?
1. 1-1.5 L/min
2. 1.5-2 L/min
3. 2-2.5L/min
4. 2.5-3 L/min

Correct answer: 1. 1-1.5 L/min

Explanation: 1-1.5 L/min.The total renal blood flow (RBF) is approximately 1.1-1.3 Lit/min.i.e.,22-25% of cardiac output.